Tension pneumothorax results in
1. Alkalosis
2. Increased cardiac output
3. Decreased venous return
4. All of the above

Correct answer: 3. Decreased venous return